Malignant pustule is caused by
1. Pseudomonas
2. Streptococcus
3. Staphylococcus
4. Bacillus anthrax

Correct answer: 4. Bacillus anthrax

Explanation: Ans. d (Bacillus anthrax) (Ref. Ananthanarayan, Microbiology, 8th/ p. 245).Bacillus anthrax causes anthrax and disease fee seen in Joans:1. Cutaneous,2. Pulmonary,3. Intestinal- Cutaneous is the most common form (malignant pustule, hide porter's disease).- Pulmonary is wool sorter's disease.0BACILLUS ANTHRAX# Bacillus anthrax and Clostridia are Gram-positive spore-forming rods.# B. anthracis is the bacterium which causes anthrax in cows, sheep, and sometimes humans.# Anthrax is transmitted to humans via direct contact with animal products or inhalation of endospores.# Under the microscope, B. anthracis cells appear to have square ends and seem to be attached by a joint to other cells.# The spores are best observed when the bacterium is cultured on artificial media.# Anthrax is a zoonosis. The infected animals shed the bacilli in their discharges, which sporulate in soil and remain as source of infection.# LAB features:# Cultural characteristics of B. anthrax:- Nonhemolytic (sheep blood agar).1. M'Fadyean's reaction - Non-motile2. 'Frosted glass' appearance- Gel hydrolysis -3. 'Medusa head' appearance - Catalase +4. 'Inverted tree' appearance 5. PLET media is used as selective media.